Hardener in gypsum is
1. 2% K2SO4
2. Sodium sulphate
3. 4%K 2SO4
4. Nad

Correct answer: 1. 2% K2SO4